Non-selective serotonin and nor-adrenaline reuptake inhibitor is:
1. Sertraline
2. Citalopram
3. Venlafaxine
4. Paroxetine

Correct answer: 3. Venlafaxine